The most common structural red cell defect without Hb abnormality is -
1. Elliptocytosis
2. Spherocytosis
3. Poikilocytosis
4. Sickle cell disease

Correct answer: 2. Spherocytosis